In optic atrophy pallor of the disc is an index of:
1. Degeneration of optic nerve fibres
2. Loss of vasculay of the disc
3. Demyelination of the optic nerve fibres
4. All of the above

Correct answer: 2. Loss of vasculay of the disc

Explanation: Ans. Loss of vasculay of the disc